Workshop is ?
1. Discussion of 4-8 experts in front of audience
2. Discussion between 6-12 members
3. Series of four or more meetings
4. Series of speeches on given subject

Correct answer: 3. Series of four or more meetings

Explanation: Ans. is 'c' i.e., Series of four or more meetings WorkshopIt consists of a series of meeting usually four or more, with emphasis on individual work, within the group, with the help of consultants and resource personnel.The total workshop may be divided into small groups and each group will solve and discuss a problem with the help of consultants.